Contrasts used in USG:
1. Urograffin
2. Ultragraffin
3. Sonavist
4. Conray

Correct answer: 3. Sonavist

Explanation: C i.e. Sonavist Ultrasound contrast agents (UCAs) It consists of microbubbles filled with air or gases, which acts as echo - enhancer by increasing acoustic impedence at the interface b/w gas & blood. The ideal USCA, should have:no biological effect with repeat doses. low : attenuation, blood gas solubility & diffusivity. high : echogenicity & ability to pass through pulmonary circulation.